Which of the following is not responsible for causing a right shift of the oxygen dissociation curve:
1. Increased carbon dioxide
2. Temperature
3. Exercise
4. Alkalosis

Correct answer: 4. Alkalosis

Explanation: Ans. (d) AlkalosisRef: Ganong 25th ed. 1640-41OXYGEN HEMOGLOBIN DISSOCIATION CURVE* Oxygen- hemoglobin dissociation curve is sigmoid 'S' shaped because binding of one oxygen molecule to heme increases the affinity of second heme molecule for oxygen and so on.Factors affecting affinity of Hb for oxygen and causing the shift of curve are:Left shiftRight Shift* This means the affinity of oxygen to Hb is increased and oxygen is bound more tightly to hemoglobin* Factors leading to left shift are# Alkalosis or pH# | PCO2 (CO2 content of blood)# | Temperature (Hypothermia)# | 2,3 DPG* This means the affinity of O2 to Hb is decreased which favours release of oxygen to tissue.* Factors leading to right shift are:# Acidosis or | pH# | PCO2 (CO2 conten|t of blood)# Temperature (Hypothermia)# | 2,3 DPG